Claw sign seen in ?
1. Intussception
2. Volvulus
3. Both
4. None

Correct answer: 1. Intussception

Explanation: A barium enema may be used to diagnose the presence of an ileocolic intussusception (the claw sign).'Claw' sign of iliac intussusception. The barium in the intussusception is seen as a claw around a negative shadow of the intussusception Ref: Bailey & Love's Short Practice of Surgery,E25,Page-1196